which of th efollowing is not a component of NAXOS syndrome ?
1. wooly hair
2. lipomatous skin
3. hyperkeratosis of palms
4. arrythmogenic right ventricular hypertrophy

Correct answer: 2. lipomatous skin

Explanation: NAXOS SYNDROME: PLAKOGLOBIN GENE MUTATION desmosome protien defect fibrofatty tissue replaces myocardium which is stained by mason trichrome stain . REF : ROBBINS 10TH ED